Pulp responds to all stimuli by pain because it has only
1. Free nerve endings
2. Krause end bulbs
3. Pacinian corpuscle
4. Ruffini corpuscle

Correct answer: 1. Free nerve endings